The enzymes engaged in the transfer of electrons are known as
1. Oxidoreductases
2. Transferases
3. Lyases
4. Ligases

Correct answer: 1. Oxidoreductases

Explanation: Enzymes are grouped into the following six classes: 1.Oxidoreductases: Enzymes that catalyze oxidations and reductions. 2.Transferases: Enzymes that catalyze the transfer of moieties such as glycosyl, methyl, or phosphoryl groups. 3.Hydrolases: Enzymes that catalyze hydrolytic cleavage of C'C, C'O, C'N, and other covalent bonds. 4.Lyases: Enzymes that catalyze the cleavage of C'C, C'O, C'N, and other covalent bonds by atom elimination, generating double bonds.5.Isomerases: Enzymes that catalyze geometric or structural changes within a molecule. 6.Ligases: Enzymes that catalyze the joining together (ligation)Oxidoreductases are further classified into four groups: oxidases, dehydrogenases, hydroperoxidases, and oxygenasesReference: Explanation: Harper's Biochemistry; 30th edition; Chapter 7; Enzymes: Mechanism of action